All of the following are true about carcinoid crisis, EXCEPT:
1. It is life threatening
2. Urinary 5-HIAA levels > 200 mg/d
3. Can be precipitated by anaesthesia
4. It does not occur spontaneously

Correct answer: 4. It does not occur spontaneously

Explanation: One of the most immediate life-threatening complications of the carcinoid syndrome is the development of a carcinoid crisis. This is more common in patients who have intense symptoms or have greatly increased urinary 5-HIAA levels (i.e., >200 mg/d). The crises may occur spontaneously or be provoked by stress, anesthesia, chemotherapy, or a biopsy. Patients develop intense flushing, diarrhea, abdominal pain, cardiac abnormalities including tachycardia, hypertension, or hypotension. If not adequately treated, this can lead to death. Ref: Endocrine Tumors of the Gastrointestinal Tract and Pancreas. In D.L. Longo, A.S. Fauci, D.L. Kasper, S.L. Hauser, J.L. Jameson, J. Loscalzo (Eds), Harrison's Principles of Internal Medicine, 18e.